All the following structures pass through Foramen Ovale except
1. Mandibular nerve
2. Accessory Meningeal artery
3. Lesser Petrosal nerve
4. Emissary vein connecting cavernous sinus with pharyngeal plexus of veins

Correct answer: 4. Emissary vein connecting cavernous sinus with pharyngeal plexus of veins

Explanation: The foramen ovale transmits the mandibular nerve, the lesser petrosal nerve, the accessory meningeal artery, an emissary vein connecting the cavernous sinus with the pterygoid plexus of veins, and occasionally the anterior trunk of the middle meningeal vein (MALE).Reference: Chourasia; 6th edition; 19th page